Principle for chinese medicine -
1. Yang
2. Vin
3. Both
4. None

Correct answer: 3. Both

Explanation: Ans. is 'c' i.e., Both o Chinese medicine is based on two principles:- i) Yang : Active masculine principle ii) Vin : Negative feminine principle o The balance of these two opposing forces meant good health. o The Chinese were early pioneers of immunization. They practised variolation to prevent smallpox. o The Chinese system of 'bare-foot doctors' and accupuncture have attracted worldwide attention in recent years.